Which of the following is not true regarding Bell's palsy?
1. It is a supranuclear lesion of facial nerve
2. It affects the same side of face
3. Face becomes asymmetrical
4. Speech becomes difficult

Correct answer: 1. It is a supranuclear lesion of facial nerve